Xenograft is transplantation of tissue:
1. From a different species
2. From same species
3. From genetically identical twins
4. From one part of body to another

Correct answer: 1. From a different species

Explanation: Ans. From a different species